A 12-year-old intellectually disabled boy having short stature, protuberant abdomen with umbilical hernia, prominent forehead. His vision is normal. His parents are normal. What is metabolic defect in this disorder?
1. L-Iduronidase
2. Iduronate Sulfhatase
3. Aryl Sulfatase B
4. Beta Glucoronidase

Correct answer: 2. Iduronate Sulfhatase

Explanation: Ans. B. Iduronate Sulfatase* Hunters Disease (MPS-II)* Distinguishing features are vision normal as there is no corneal clouding. Males are affected